. Herd immunity is not useful in -
1. Diphtheria
2. Tetanus
3. Small pox
4. Mumps

Correct answer: 2. Tetanus